SRY gene is located on
1. Short arm of Y chromosome
2. Long arm of Y Chromosome
3. Short arm of X chromosome
4. Long arm of X chromosome

Correct answer: 1. Short arm of Y chromosome

Explanation: The elaboration of H-Y antigen complex in the short arm of Y chromosome is known as sex determining region(SRY), which induces testicular development Ovarian determinant : Unless SRY is expressed ovarian development ensues in the presence of XX karyotype SHAW'S TEXTBOOK OF GYNAECOLOGY,Pg no:106,15th edition